Lentigo maligna is most commonly seen in ?
1. Face
2. Trunk
3. Sole
4. Leg

Correct answer: 1. Face

Explanation: Ans. is 'a' i.e., Face Lentigo maligna melanoma is usually confined to chronically sun-damaged, sun-exposed sites i.e. face, neck, back of the hands, in older individuals.